Visceral efferent column arises from which plate of neural tube
1. alar
2. basal
3. roof
4. floor

Correct answer: 2. basal

Explanation: anterior basal plate(motor/efferent pathway) gives anterior horn cells - controls skeletal muscles gives lateral horn cells - controls cardiac and smooth muscles posterior alar plate(sensory/afferent pathway) gives posterior horn cells- spinothalamic tract (pain & temperature)